Conversion of T4 to T3 is inhibited by all except.
1. Propanolol
2. Propylthiouracil
3. Amiodarone
4. Methimazole

Correct answer: 4. Methimazole

Explanation: Methimazole and carbimazole do not inhibit peripheral conversion of T4 to T3. Prophythiouracil, carbimazole, methimazole are thioamides used in hyperthyroidism but only PTU inhibits t4 to t3 conversion among thioamides (REF.Essential of medical pharmacology K D TRIPATHI 6 Edition, Page No - 250)